Fibrinoid necorsis with neutrophilic infiltration is seen in ?
1. PAN
2. Giant cell arteritis
3. Takayasu arteritis
4. Wegener's granulomatosis

Correct answer: 1. PAN

Explanation: Ans. is 'a' i.e., PAN